A child presents with sepsis. Bacteria isolated showed beta hemolysis on blood agar, resistance to bacitracin, and a positive CAMP test. The most probable organism causing infection is:
1. S. Pyogenes
2. S. Agalacitae
3. Enterococcus
4. S. Pneumoniae

Correct answer: 2. S. Agalacitae

Explanation: Streptococcus agalactiae is a group B hemolytic streptococci. They are normal flora of the female genital tract and an important cause of neonatal sepsis and meningitis. They hydolyze sodium hippucrate, typically beta hemolytic, gives a positive response to cAMP (Christie, Atkins and Munch-Peterson) and resistant to bacitracin. Ref: Medical Microbiology By William L. Irving, Dlawer A. A. Ala'Aldeen, Tim Boswell, Pages 117 - 9; Textbook of Microbiology By Ananthanarayan, 8th Edition, Page 206, 215; Jawetz, Melnick and Adelberg's Medical Microbiology, 23rd Edition, Page 235.